Which of the following presents as a mass in ear, which bleeds heavily on touch?
1. Glomus Jugulare tumor
2. Ca mastoid
3. Acoustic neuroma
4. Angiofibroma

Correct answer: 1. Glomus Jugulare tumor

Explanation: Glomus Jugulare is a slow growing highly vascular lesion which arise in the jugular fossa from paraganglia located within the adventitia of jugular bulb. Examination of the ear shows a deep mass behind the eardrum. Patients usually presents with hoarseness, dysphagia and tinnitus. CT shows an irregularly marginated, intensely enhancing destructive lesion centered in the jugular fossa. MRI shows a salt and pepper appearance which is diagnostic for paraganglioma.